All are related to lateral vaginal fornix except:
1. Ureters
2. Mackenrodt's
3. Inferior vesical artery
4. Uterine artery

Correct answer: 3. Inferior vesical artery

Explanation: The cervix and all 4 fornices are related to  

Uterine Vessels
Mackenrodt's ligament 
Ureter